In conversion of lactic acid to glucose, three reactions of glycolytic pathway are circumvented, which of the following enzymes do not participate?
1. Pyruvate carboxylase
2. Phosphoenol pyruvate carboxy kinase
3. Pyruvate kinase
4. Glucose-6-phosphatase

Correct answer: 3. Pyruvate kinase

Explanation: Ans. C. Pyruvate kinasePyruvate Kinase is the enzyme used in glycolysis. In the conversion of Lactic Acid to glucose the three steps of glycolysis are made reversible. To convert pyruvate to PEP-----Pyruvate carboxy kinase and PEP carboxy kinase are utilized.